Which of the following is a prodrug
1. Enalapril
2. Clonidine
3. Salmetarol
4. Acetazolamide

Correct answer: 1. Enalapril

Explanation: All ACE inhibitor are prodrug except captopril and lisnopril